Patients of Wiskott-Aldrich syndrome exhibit the classical triad of:-
1. Thrombocytopenia, recurrent infections and psoriasis
2. Thrombocytopenia, recurrent infections and lichen planus
3. Thrombocytopenia, recurrent infections and seborrheic dermatitis
4. Thrombocytopenia, recurrent infections and eczema

Correct answer: 4. Thrombocytopenia, recurrent infections and eczema

Explanation: Wiskott-Aldrich syndrome Immunodeficiency Triad: Thrombocytopenia, Eczema Recurrent infection X-linked recessive condition. Mutation- gene (XLT), WASP gene C/F - early life with bruising, petechiae and bleeding, congenital neutropenia